Posterior relations of head of pancreas are all except -
1. Common bile duct
2. First part of duodenum
3. Aorta
4. Inferior vena cava

Correct answer: 2. First part of duodenum

Explanation: First part of duodenum is anterior to head of pancreas.
IVC and common bile duct are posterior to head of pancreas.
Option C is tricky here. Aorta is posterior to uncinate process which in turn is a part of head of pancreas.